Osteoporosis is seen in :
1. Thyrotoxicosis
2. Cushing's disease
3. Menopause
4. All of the above

Correct answer: 4. All of the above

Explanation: Answer is D (All of the above) : Estrogen deficiency (Hypogonadal state) is known to cause osteoporosis. The most frequent estrogen deficient state is the cessation of ovarian function at the time of menopause. Thyrotoxicosis and Cushing's syndrome are known endocrine causes of osteoporosis.